Parasympathetic system originates from all of the following cranial nerves except
1. Oculomotor (III)
2. Facial (VII)
3. Trigeminal (V)
4. Vagus (X)

Correct answer: 3. Trigeminal (V)

Explanation: Trigeminal nerve does not give rise to any parasympathetic system Ref: guyton and hall textbook of medical physiology 12 edition page number:673,674,675